A 24-year-old female presents with severe pain during menses (dysmenorrhea). To treat her symptoms, you advise her to take indomethacin in the hope that it will reduce her pain by interfering with the production of:
1. Bradykinin
2. Histamine
3. Leukotrienes
4. Prostaglandin F2

Correct answer: 4. Prostaglandin F2

Explanation: Aspirin, indomethacin, and other nonsteroidal anti-inflammatory drugs (NSAIDs), in contrast, inhibit cyclooxygenase and therefore inhibit the synthesis of prostaglandins and thromboxane.